White fibrocartilage is present in all EXCEPT:
1. Acetabular labrum
2. Intervertebral disc
3. Meniscus
4. Pinna

Correct answer: 4. Pinna

Explanation: ANSWER: (D) PinnaREF: Basic histology, Carlos & Jose, 11th edition, Chapter 7, Cartilage, Textbook of human histology 4th e p. 92-94See APPENDIX-2 below for ''Types of cartilage""Pinna or auricle is formed of elastic cartilage not fibrocartilage" APPENDIX - 2Types of Cartilages Hyaline CartilageElastic CartilageFibrocatilageCompositionType II collagenChondroitin sulfateType II collagenElastin fibersType I collagenPerichondriumPresentPresentAbsent Articular cartilageArytenoid cartilageThyroid cartilageCricoid cartilageEpiphyseal growth plateNasal septumCostal cartilage of ribsAuricleAuditory tubeEpiglottisCuneiform cartilage of larynxEpiglottisExternal auditory canalArticular discsIntervertebral discsMenisciPubic symphysisGlenoid labrumAcetabular labrum